Which is an omega-9 fatty acid?
1. Arachidonic acid
2. Oleic acid
3. Linolenic acid
4. Cervonic acid

Correct answer: 2. Oleic acid

Explanation: Unsaturated fatty acids are also designated o3 (omega 3) family--Linolenic acids o6 family--Linoleic and Arachidonic acids ( o9 family--Oleic acid.Ref: DM Vasudevan - Textbook of Biochemistry, 8th edition, page no: 76